Most potent mineralocorticoid is
1. Aldosterone
2. DOCA
3. Fludrocoeisone
4. Triamcinolone

Correct answer: 1. Aldosterone

Explanation: Aldosterone is the most potent mineralocorticoid. Not used clinically because of the low oral bioavailability. most potent synthetic or man made is- fludrocortisone- having more mineralocorticoid activity (REF.Essential of medical pharmacology K D TRIPATHI 6 Edition, Page No - 282)